The file which has a non-cutting side is
1. K-files
2. Safety K-files
3. Hedstrom files
4. Safety Hedstrom files

Correct answer: 4. Safety Hedstrom files